CNS development begins in which intrauterine week?
1. 5 weeks
2. 6 weeks
3. 3 weeks
4. 2 weeks

Correct answer: 3. 3 weeks

Explanation: HUMAN EMBRYOLOGY-INDERBIR SINGH TENTH EDITION-PAGE NO:350